Which one of the following is the investigation of choice for evaluation of suspected Perthes' disease?
1. Plain X-ray
2. Ultrasonography (US)
3. Computed Tomography (CT)
4. Magnetic Resonance Imaging (MRI)

Correct answer: 4. Magnetic Resonance Imaging (MRI)

Explanation: MRI is the investigation of choice as it can diagnose Perthes disease in early stages when X-ray is normal.